Which of the following anaesthetic agent lacks analgesic effect – a) N2Ob) Thiopentonec) Methohexitoned) Ketaminee) Fentanyl
1. a
2. c
3. ac
4. bc

Correct answer: 4. bc

Explanation: Barbiturates (methexitone, thiopentone) do not have analgesic action. Rather they can cause hyperalgesia.